Which factor does not affect the diffusion of substance through the cell membrane?
1. Molecular size of the substance
2. Lipid solubility of the membrane
3. ATP generating capacity on both sides of membrane
4. Distribution of channels for the substance in the membrane

Correct answer: 3. ATP generating capacity on both sides of membrane

Explanation: Diffusion occur without the expenditure of energy. It depend on the concentration of molecules. (REF: TEXTBOOK OF MEDICAL PHYSIOLOGY GEETHA N 2 EDITION, PAGE NO - 4)